Pseudoproptosis is a feature of
1. High axial myopia
2. Buphthalmos
3. Upper lid retraction
4. All the above

Correct answer: 4. All the above